Pyronaridine is:
1. Antimalarial
2. Anti HIV
3. Antifungal
4. Antibacterial

Correct answer: 1. Antimalarial

Explanation: Ans. A i.e. Antimalarial